Gas gangrene is caused by -
1. Clostridiumtetani
2. Clostridium botulinum
3. Clostridiumwelchii
4. None

Correct answer: 3. Clostridiumwelchii

Explanation: Ans. is 'c' i.e., Clostridium welchii Clostridiumo Clostridial species are:Gram positiveAnaerobic ( obligate anaerobe!Spore formingBacilliMotile by peritrichate flagella except C. peifringens and C. tetani type IV which are non motile.Non capsulated except C. perfringens and C. butyricum which are capsulatedo Pathogenesis is due to exotoxin not endotoxin.o Clostridium botulinum causes botulism not gas gangrene,o Gas gangrene is caused by:* C. perfringens or G welchii (80%)# C novyi* C. septicum# C. histolyticum